Meckels diverticulum represents which structure of the embryonic life?
1. Vitellointestinal duct
2. Wolfian duct
3. Mullerian duct
4. Paramesonophric gut

Correct answer: 1. Vitellointestinal duct

Explanation: Ans. is 'a' i.e., Vitellointestinal duct * Meckel's diverticulum is present in 2% of the population; it is situated on the anti-mesenteric border of the small intestine, commonly 60cm from the ileocaecal valve, and is usually 3-5 cm long. Many variations occur (2% - 2 feet - 2 inches is a useful aide-memoire). It represents the patent intestinal end of the vitellointestinal duct.